DASH diet consists of diet ?
1. Rich in proteins and low in salts
2. Rich in fruits and low-fat dairy products
3. Rich in carbohydrate and low in protein
4. Rich in protein, carbohydrate and fat

Correct answer: 2. Rich in fruits and low-fat dairy products

Explanation: Ans. is 'b' i.e., Rich in fruits and low-fat dairy products